An anti-hypertensive drug that causes positive coomb's test is
1. Methyldopa
2. Clonidine
3. Hydralazine
4. Sodium-nitropruside

Correct answer: 1. Methyldopa

Explanation: Alpha-methyldopa causes autoimmune hemolytic anemia Coombs test detects antibodies against foreign red blood cells. (REF. ESSENTIALS OF MEDICAL PHARMACOLOGY K.D TRIPATHI-6th edition. Page No-547)